Oral diaphragm is formed by -
1. Mylohyoid
2. Genioglossus
3. Hyoglossus
4. Buccinator

Correct answer: 1. Mylohyoid

Explanation: Mylohyoid muscle of each side unite to make a thin sheet of muscular floor (oral diaphragm) of oral cavity.